Which one of the following is diagnosed by latex agglutination for antigen in CSF?
1. Cryptococcus
2. Aspergillosis
3. Candida
4. Histoplasmosis

Correct answer: 1. Cryptococcus

Explanation: (A) Cryptococcus # Approximately 90% of patients with cryptococcal meningoencephalitis, including all those with a positive CSF smear, have capsular antigen detectable in CSF or serum by latex agglutination.# Certain important points about cryptococcus> Cryptococcus is the only pathogenic yeast> It is characterized by a prominent polysaccharide capsule, which stands out in Indian ink preparation> Features which are seen in only in pathogenic cryptococci are Ability to grow at 37degC Ability to hydrolyse urea